In Mitral Stenosis ,double atrial shadow is due to enlargement of ?
1. Right atrium
2. Left atrium
3. Both atria
4. Left auricle

Correct answer: 2. Left atrium

Explanation: Double-density sign/Double atrial shadow Seen on frontal chest radiograph in the presence of left atrial enlargement Occurs when the right side of the left atrium pushes behind the right cardiac shadow, indenting the adjacent lung and forming its own distinct silhouette.